Which of the following stage of syphilis is associated with primary bullous lesions?
1. Primary syphilis
2. Secondary syphilis
3. Tertiary syphilis
4. Congenital syphilis

Correct answer: 4. Congenital syphilis

Explanation: Bullous lesions of skin are associated with congenital syphilis. Other cutaneous manifestations includes fissuring of lips, angles of mouth and nasolabial fold. Most common manifestation of primary syphilis is hunterian chancre, cutaneous manifestation of secondary syphilis includes coppery red scaly lesions of palms and soles and condyloma lata. Reference: Illustrated synopsis of Dermatology and Sexually Transmitted Diseases By Neena Khanna 2nd edition page 253-6.